Donovanosis is caused by ?
1. Calymmatobacterium granulomatosis
2. Legionella
3. Chlymadia
4. Rickettsia

Correct answer: 1. Calymmatobacterium granulomatosis

Explanation: Granuloma inguinale (also known as donovanosis) is a bacterial disease caused by Klebsiella granulomatis (formerly known as Calymmatobacterium granulomatis) characterized by ulcerative genital lesions.